In E. coli, Arthur kornberg found which enzyme?
1. Fatty acid synthase
2. DNA polymerase
3. Topoisomerase
4. Glucose-6-phosphate dehydrogenase

Correct answer: 2. DNA polymerase

Explanation: The identification and partial purification by Arthur Kornberg and his colleagues in 1956 of an enzyme - DNA polymerase I of Escherichia coli - that catalyzed the stable incorporation of deoxyribonucleotides into DNA in vitro came as a surprise.